S1ADH is associated with:
1. Small cell carcinoma lung
2. Adeno cercinoma lung
3. Squamous cell carcinoma lung
4. Mixed cell tumor lung

Correct answer: 1. Small cell carcinoma lung

Explanation: Ans. is 'a' small cell Ca of lung Small cell Ca of lung causes SIADH due to ectopic secretion of ADH.SyndromeSIADHChiefly associated withSmall cell lung Ca*Head & Neck cancer*Cushing's syndromeSmall cell lung Ca*Carcinoid Tumour*Hypercalcemia of malignancyNon-small cell lung Ca* (Squamous)Breast Cell*'Renal Ca Ca*Myeloma*Bladder CaHead & Neck CaAcromegalyCarcinoid tumors*Small cell Lung CA*pancreatic Islet tumourGynecomastiaTesticular Ca*Lung Ca*Carcinoid tumour of lung and GIT.Non islet tumour hypoglycemia* Sarcomas*